Mechanism of action in pathogenesis of Pseudomembranous colitis by CI difficle ?
1. Due to invasiveness
2. Due to endotoxin
3. Due to exotoxin
4. Due to NM blockade

Correct answer: 3. Due to exotoxin

Explanation: Ans. is 'c' i.e., Due to exotoxin Pathogenesis of pseudomembranous colitis is due to production of two large toxins by C. difficile : i) Toxin A (an enterotoxin) Is a potent neutrophil chemoattractant Causes disruption of cell cytoskeleton by glycosylation of GTP - binding proteins that regulate the actin cell cytoskeleton. ii) Toxin B (a cytotoxin) Causes disruption of cell cytoskeleton by similar mechanism.